During phagocytosis, the metabolic process called respiratory burst involves the activation of:
1. Oxidase
2. Hydrolase
3. Peroxidase
4. Dehydrogenase

Correct answer: 1. Oxidase

Explanation: A i.e. OxidaseThe electron transport chain system responsible for the respiratory burst is 'NADPH oxidase' (on oxidase enzyme)The biochemical mechanism of microbial killing and degradation following phogocytosis is called 'respiratory burst'.This is accomplished largely by oxygen dependent mechanisms.'The generation of reactive oxygen intermediates is due to rapid activation of an oxidase (NADPH oxidase)'.